Volkmann's ischemic contracture is seen in
1. Supracondylar fracture of humerus
2. Dislocation of knee
3. Colle's fracture
4. Bennett's fracture

Correct answer: 1. Supracondylar fracture of humerus

Explanation: Compartment syndrome can also be recognized by so-called 7 P'sPain out of proportion to physical examination findingsPain on passive stretching ( 1st sign )Pressure increasedPallor/may be pink alsoPulselessness/pulse may be presentParesthesiaParalysis(Refer: Rockwood and Green's Fractures in Adults, 7th edition, pg no: 543-86)